Auditory hallucinations are seen in except:
1. Schizophrenia
2. Acute and transient psychotic disorder
3. Delirium tremens
4. Panic disorder

Correct answer: 4. Panic disorder

Explanation: Ans: D (Panic disorder) Ref: Kaplan & Sadock's Synopsis of Psychiatry. 10th editionExplanation:Hallucination is a perceptual pathology where perception occurs without real, external stimuli/ objects. (The other is Illusion- where objects are present but perceived otherwise. E.g.. rope perceived as snake).The presence of hallucination is suggestive of psychosis.Psychotic Symptoms are:HallucinationsDelusionsExtreme excitementExtreme retardationPsychotic symptoms occurs in:DeliriumSchizophrenia, Acute and transient psychotic disorder. Psychosis (NOS)Mania, Severe depressionHallucinations occurs in several modalities:Visual (suggestive of organicity)Auditory (non-specific)Olfactory (suggestive of organicity)Gustatory (suggestive of epilepsy)Somatic (suggestive of schizophrenia)Pseudo-hallucinations- Which occurs in mind, not from outer space.Functional hallucinations- Hallucinations present only with real stimulus (but both are perceived differently at the same time e.g., tap water sound and voices).Causes of Auditory HallucinationsSchizophreniaPsychotic DisordersDelirium tremensMood DisordersIntense stressSleep deprivationHigh caffeine consumption